Most sensitive antibody for SLE:
1. Anti-nuclear
2. Anti-ds DNA
3. Anti-Smith
4. Anti-histone

Correct answer: 1. Anti-nuclear

Explanation: Autoantibodies in Systemic Lupus Erythematosus (SLE) Antibody Clinical Utility Antinuclear antibodies Best screening test/Most sensitive Anti-ds DNA Specific, correlate with disease activity, nephritis, vasculitis Anti-Sm Most Specific for SLE, marker for CNS lupus Anti-RNP Not specific for SLE Anti-Ro/La (SS-A) Sicca syndrome, neonatal lupus with congenital heart block Anti-histone Drug-induced lupus